All are features of renal tubular acidosis type I except-
1. Stone in kidney
2. No anion gap
3. Hypokalemia
4. Fanconi syndrome

Correct answer: 4. Fanconi syndrome

Explanation: Type1RTA-classical distal RTA include- hypoklaemia non-anion gap metabolic acidosis , low urine ammonium excretion, high urine PH. Most of them also have hypocitrauria, hypercalciuria, sort nephrolithiasis nephrocalcinosis and bone disease are common. Type2RTA-proximal RTA( FANCONI SYNDROME) -generalized proximal tubular dysfunction resulting in Glycosuria Phosphaturia Generalized aminoaciduria Type3RTA-rare Type4RTA-generalized distal RTA Hyperkalemia Decreased ammonia excretion . Many patients have hyporeninemic hypoaldosteronism causing non anionic gap metabolic acidosis . Ref:HARRISON 20th edition pg no. 320